Penal code for death sentence is?
1. 300
2. 302
3. 304
4. 306

Correct answer: 2. 302

Explanation: Ans. is 'b' i.e., 302 o 302 IPC: Punishment for murder (death or life imprisonment). o 300 IPC: Murder (defining murder). o 304 IPC: Punishment of culpable homicide, not amounting to murder (10 years imprisonment +- fine). o 306 IPC: Abetment of suicide.